Which is not a feature of Kallman syndrome?
1. Micropenis
2. Primary amenorrhea
3. Mirror movements of hands
4. Intellectual disability

Correct answer: 4. Intellectual disability

Explanation: Kallman Syndrome occurs due to defective synthesis of GnRH (Gonadotropin releasing hormone). KAL gene is X linked. During fetal life, the GnRH neurons originate in Olfactory Placode and then migrate along fetal olfactory neuron. They eventually wend their way to the hypothalamus. Presenting features Associated with Males: delayed puberty and micro-penis. Females: Primary amenorrhea and failure of development of secondary sexual characteristics Anosmia Colour blindness, optic atrophy SN deafness Mirror movements of hands (synkinesia) Cleft palate Renal abnormalities Mirror movements